Extrusive movements ideally would produce no areas of compression within PDL, but will produce:
1. Only contusion
2. Only tension
3. Only retraction
4. Only extraction

Correct answer: 2. Only tension

Explanation: Extrusion is defined as the axial movement of the tooth along the long axis towards the coronal part. 
Features of Extrusion:

Force required: 35–60 g
Loading pattern: No areas of compression in PDL.

Only stretched areas/tension.